Ichthyosis is caused by –
1. Hemosiderosis
2. Refsum disease
3. Niacin deficiency
4. Steven johnson syndrome

Correct answer: 2. Refsum disease

Explanation: Syndromal ichthyosis (ichthyosis with additional characteristics) is seen in carvaj al syndrome, CHILD syndrome, Daffier 's disease, Refsum disease, Rud syndrome, Netherton syndrome, Neutral lipid storage disease, Tey syndrome, Senter syndrome.